Which of the following is a component of cell free zone
1. Capillaries
2. Unmyelinated nerve fibers
3. Cytoplasmic process of fibroblasts
4. All of the above

Correct answer: 4. All of the above